Keratomalacia is -
1. Occurs due to Vit-A deficiency
2. Relatively benign condition
3. First feature of Vit- A deficiency
4. Also seen in retinitis pigmentosa

Correct answer: 1. Occurs due to Vit-A deficiency

Explanation: Keratomalacia is due to deficiency of vitamin A.
It is not relatively benign. Larger stromal defects in keratomalacia commonly result in blindness.
Earliest symptom is nightblindness and earliest sign is conjunctival xerosis.
Retinitis pigmentosa does not cause keratomalacia.